Not a component of POEMS syndrome -
1. Polyneuropathy
2. Organomegaly
3. Endocrinopathy
4. Multiple osteolytic lesions

Correct answer: 4. Multiple osteolytic lesions

Explanation: POEMS syndrome - polyneuropathy,organomegaly,endocrinopathy, multiple myeloma,skin changes

Harsh mohan textbook of pathology 6th edition pg no 383